A 4 year old girl presents with severe vomiting after viral fever of 6 days. She develops cerebral edema later on. What would be the liver biopsy finding?
1. Centrizonal haemorrhagic necrosis
2. Marked microvesicular steatosis
3. Ring granuloma
4. NASH

Correct answer: 2. Marked microvesicular steatosis

Explanation: Micrograph demonstrating marked (macrovesicular) steatosis in non-alcoholic fatty liver disease. Masson's trichrome stain, When the vesicles are large enough to distort the nucleus, the condition is known as macrovesicular steatosis; otherwise, the condition is known as microvesicular steatosis. Reference: GHAI Essential pediatrics, 8th edition